Point mutaton in which protooncogene is responsible for the development of gastrointestinal stromal tumor -
1. KIT
2. ALK
3. RET
4. FLT3

Correct answer: 1. KIT

Explanation: Ans. is 'a' i.e., KIT